Apoptotic bodies are?
1. Clumped chromatin bodies
2. Pyknotic nucleus without organelles
3. Cell membrane bound with organelles
4. No nucleus with organelles

Correct answer: 3. Cell membrane bound with organelles

Explanation: Ans. is 'c' i.e., Cell membrane bound with organellesApoptotic bodies are formed during the process of Apoptosis, by fragmentation of surface blebs of the apototic cell. These are membrane bound bodies composed of cytoplasm and tightly packed organelles, with or without nucleus.